Treatment of choice for glue ear Is:
1. Conservative
2. Myringotomy with cold knife
3. Myringotomy with ventilation tube insertion
4. Myringotomy with diode laser

Correct answer: 3. Myringotomy with ventilation tube insertion

Explanation: Treatment of glue ear where thick secretions accumulate in middle ear would be drainage through a myringotomy and long-term aeration of middle ear through a grommet. Options (b) and (d) are only myringotomy which will soon close leading to recurrence of disease.